Enzyme which prevents aging/senescence is:
1. DNA Polymerase
2. Catalase
3. Telomerase
4. Peroxidase

Correct answer: 3. Telomerase

Explanation: Teloemrase prevents ageing. Telomerase RNA dependent DNA polymerase/ Reverse transcriptase Absent in somatic cells Not a ribozyme It is a ribonucleoprotein (RNA + protein)(act as enzyme). Increases longevity of cells Prevents telomere shortening (prevents ageing or senescence) Activity of enzyme decreased in ageing increased in cancer Premature ageing (Progeria) occurs if telomerase decreases